30 years old primipara in labour with transverse lie.Treatment of choice is:
1. Internal cephalic version
2. Emergency cesarean section
3. Wait and watch
4. External cephalic version

Correct answer: 2. Emergency cesarean section

Explanation: Patients in labour with transverse lie can be managed by external cephalic version followed by surgical rupture of the membrane.
But it is important to note that the patient is a primigravida with age 30 years, i.e. elderly primi, so ECV is contraindicated.
This patient requires an emergency cesarean section.

Guidelines for the management of transverse lie
Antenatal
↓
External cephalic version in all cases beyond 35 weeks
↓
If version fails or is contraindicated
↓
Cesarean section at 38 weeks
During labour